Lignocaine is used as anesthetic and class IB antiarrhythmic. Which of the following are the preparations available for lignocaine?
1. 0.5%jelly, 1 % injection
2. 1% jelly, 2% injection
3. 2% jelly, 4% injection
4. 4% jelly, 5% injection

Correct answer: 3. 2% jelly, 4% injection

Explanation: Preparations of lignocaine: Inj local: 0.5, 1, 1.5, 2, 4, 10, 20%. Inj IV: 1% (10 mg/mL), 2% (20 mg/mL); admixture 4, 10, 20%. IV inf: 0.2%, 0.4%; cream 2%; gel 2, 2.5%; oint 2.5, 5%; liq 2.5%; soln 2, 4%; viscous 2% Ref: Gomella L.G., Haist S.A. (2007). Chapter 22. Commonly Used Medications. In L.G. Gomella, S.A. Haist (Eds), Clinician's Pocket Reference: The Scut Monkey, 11e.